Low QRS voltage on ECG with left ventricular hypertrophy on Echocardiography suggests a diagnosis of:
1. Pericardial effusion
2. Cardiac Amyloidosis
3. Corpulmonale
4. Infective endocarditis

Correct answer: 2. Cardiac Amyloidosis

Explanation: Answer is B (Cardiac Amyloidosis) Low QRS voltage on ECG with left ventricular hypertrophy on Echocardiography suggests a diagnosis of infiltrative cardiomyopathy like amyloidosis. The combination of low QRS voltage plus a thick left ventricle on echocardiogram strongly suggests the diagnosis of infiltrative cardiomyopathy like cardiac amyloidosis. The increased thickness is the amyloid. It is not muscle (not true hypertrophy), does not depolarize and therefore adds nothing to QRS voltage